All of the following features are diagnostic features in barium follow through of ileo coecal tuberculosis, EXCEPT:
1. Apple core appearance
2. Pulled up or contracted cecum
3. Widening of ileocecal angle
4. Stricture involving terminal ileum

Correct answer: 1. Apple core appearance

Explanation: Apple core appearence is seen in carcinoma of colon. Terminal ileum and cecum are the most common sites of intestinal tuberculosis. Barium follow through findings in ileocecal TB includes: Initially there is intense ileocecal spasm (Stierlin's sign) Later the lumen and size of the cecum are compromised as granulomas form into a mass and undergo fibrosis. Mesocolon of the cecum contracs and cecum is pulled out of the right iliac fossa and shrinks resulting in classical, conical, pyramidal or pear shaped configuration.